Alpha-feto-protein levels are lowered in:
1. Down's syndrome
2. Renal anomalies
3. Anterior abdominal wall defects
4. Anencephaly

Correct answer: 1. Down's syndrome

Explanation: Decreased alpha feto proteins are seen in conditions like, Down's syndrome Intra uterine death Trophoblastic conditions Overestimated gestational age.